True about G protein coupled receptors is
1. G proteins bind to hormones on the cell surface
2. All the three subunits alpha, beta and gamma should bind to each other for G proteins to act
3. G proteins act as inhibitory and excitatory because of difference in alpha subunit
4. G protein is bound to GTP in resting state

Correct answer: 3. G proteins act as inhibitory and excitatory because of difference in alpha subunit

Explanation: Alpha subunit of GPCR has got adenyl cyclase stimulation of inhibition of adenyl cyclase- responsible for actions of GPCR Pg.no 46 KD TRIPATHI SEVENTH EDITION